A 22-year-old woman is admitted to the emergency department in an unconscious state. The nurse takes a radial pulse to determine the heart rate of the patient. This pulse is felt lateral to which tendon?
1. Palmaris longus
2. Flexor pollicis longus
3. Flexor digitorum profundus
4. Flexor carpi radialis

Correct answer: 4. Flexor carpi radialis

Explanation: The location for palpation of the radial pulse is lateral to the tendon of the flexor carpi radialis, where the radial artery can be compressed against the distal radius.